A man working as a pest killer comes to OPD with pain abdomen, garlic odour in breath and transverse lines on nails. Most likely the person is having:
1. Arsenic poisoning
2. Lead poisoning
3. Mercury poisoning
4. Cadmium poisoning

Correct answer: 1. Arsenic poisoning

Explanation: In acute arsenic poisoning, there is usually a metallic taste in the mouth and some odour of garlic in the breath. Nausea, vomiting, abdominal pain, and watery diarrhea are common. Transverse white striae in the nails (Aldrich-Mees lines) may become apparent months after an acute intoxication. Ref: Kosnett M.J. (2012). Chapter 24. Arsenic. In K.R. Olson (Ed), Poisoning & Drug Overdose, 6e.